Somatostatin causes all except
1. Decreases insulin secretion
2. Stimulates gastrin secretion
3. Reduced gastric motility
4. inhibits secretion of motilin

Correct answer: 2. Stimulates gastrin secretion

Explanation: Somatostatin (also known as growth hormone-inhibiting hormone (GHIH) or somatotropin release-inhibiting factor(SRIF)) or somatotropin release-inhibiting In the anterior pituitary gland, the effects of somatostatin are:Inhibit the release of growth hormone (GH) (thus opposing the effects of Growth Hormone-Releasing Hormone (GHRH))Inhibit the release of thyroid-stimulating hormone(TSH)It is induced by low pH.Inhibit adenylyl cyclase in parietal cells.Ref: Ganong's review of medical physiology;24th edition; page no-472